Leukocyte Alkaline phosphatase ; True is
1. Screening test used to distinguish CML from Myeloproliferative disorders
2. LAP increases in all myeloproliferative disorder except CML
3. LAP increases in polycythemia vera
4. All of the above

Correct answer: 4. All of the above

Explanation: LAP (Leukocyte Alkaline phosphatase):
Screening test used to distinguish CML from other myloproliferative disorder because LAP ↑ ses in all myeloproliferative disorder, except CML
                          ↓
So ↑ses in polycythemia, myelofibrosis.